Carcinoma of vulva is:
1. Columnar cell carcinoma
2. Transitional cell carcinoma
3. Adenocarcinoma
4. Squamous cell carcinoma

Correct answer: 4. Squamous cell carcinoma

Explanation: Squamous cell carcinoma is the most frequent form of cancer of the vulva. Malignant melanoma should be reported separately. Histopathologic types are:

Vulvar intraepithelial neoplasia, Grade III, squamous cell carcinoma in situ
Squamous cell carcinoma
Verrucous carcinoma
Paget's disease of vulva
Adenocarcinoma, not otherwise specified (NOS)
Basal cell carcinoma, NOS

Bartholin gland carcinoma